Foreign body the common passage is
1. Right main bronchus
2. Left main bronchus
3. Bronchioles
4. Alveoli

Correct answer: 1. Right main bronchus

Explanation: A. i.e. (Right main bronchus) (297 -Dhingra 4th)Foreign bodies* Children - seeds, beans, tiny toys* Adult - meat is the most common cause of obstruction* Most common route by which a foreign body enters the nose is the anterior nares (179 - Maqbool 11th)* Commonest site of foreign bodies of food passage is at or just below the cricopharyngeal sphincter. (311 - Dhingra 4th)Most foreign bodies enter the right bronchus because it is wider and more in line with tracheal lumen causes - atelectasis or check valve obstruction* Double density sign of chest x-ray is a feature of left atrial dilatation*** Fish bone, chicken bone, needle or a denture may lodge in the pyriform fossa